Krukenberg tumor is associated mostly with which cancer?
1. Stomach
2. Breast
3. Liver
4. Pancreas

Correct answer: 1. Stomach

Explanation: Krukenberg tumor is a distinctive bilateral tumor metastatic to the ovaries by the transcoelomic spread. The tumor is generally secondary to a gastric carcinoma but other primary sites where mucinous carcinomas occur (e.g. colon, appendix, and breast) may also produce Krukenberg tumor in the ovary. Rarely, a tumor having the pattern of Krukenberg tumor is primary in the ovary.Grossly, Krukenberg tumor forms rounded or kidney-shaped firm large masses in both ovaries. Microscopically, it is characterized by the presence of mucus-filled signet ring cells which may lie singly or in clusters. It is accompanied by a sarcoma-like cellular proliferation of ovarian stroma HARSH MOHAN Textbook of pathology 6th edition pg no 750